In which of the following conditions Berlin's edema is
1. Open angle glaucoma
2. After cataract surgery
3. After concussional trauma
4. Diabetic retinopathy

Correct answer: 3. After concussional trauma

Explanation: C i.e. After concussion trauma Blunt trauma to eye may produce Berlin's edema or commotio retinae Q which is a cloudy swelling characterized by a grey appaerance, most frequently in the temporal region. It may also manifest as cherry red spot in the foveal region.